False about Zenker Diverticulum
1. Most common age is > 50 years
2. Most common type of esophageal diverticulum
3. Occurs via Kilian's dehiscence
4. Associated with cervical webs

Correct answer: 4. Associated with cervical webs

Explanation: Ans. (d) Associated with cervical websRef: Bailey and Love 27th edition, Page 1101* Cervical webs are associated in Plummer vinsen syndrome and not Zenker's diverticulum.* NBE uses this type of points to confuse you. Be careful